Commonest cause of epistaxis in children is
1. Trauma
2. Foreign body
3. Nasal diphtheria
4. Enlarged adenosis

Correct answer: 1. Trauma

Explanation: Commonest cause of epistaxis in children is trauma in Little's area